The common cause of bilateral internuclear ophthalmoplegia is:
1. Multiple sclerosis
2. Lead toxicity
3. Diphtheria
4. Diabetes mellitus

Correct answer: 1. Multiple sclerosis

Explanation: Ans. Multiple sclerosis